Which of the following muscle of mastication is having opposite & independent function?
1. Lateral pterygoid
2. Medial pterygoid
3. Both 1 & 2
4. None

Correct answer: 1. Lateral pterygoid

Explanation: The lateral pterygoid muscle is now known to function as two distinct muscles, the inferior and superior lateral pterygoid muscles, having independent and almost opposite functions.